In mandibular 3rd molar region, the grains of bone run in:
1. Buccolingual direction
2. Vertical direction
3. Anteroposterior direction
4. Oblique direction

Correct answer: 3. Anteroposterior direction